Increased risk of endometrial and ovarian cancer is seen in
1. Hereditary nonpolyposis colorectal cancer
2. Peutz-jeghers syndrome
3. Cowden's syndrome
4. Ataxia telangiectasia

Correct answer: 1. Hereditary nonpolyposis colorectal cancer

Explanation: HNPCC or Lynch II syndrome is caused by an inherited mutation in one of the following mismatch repair genes: hMSH2, hMLH1, PMS1, PMS2, or hMSH6. The disorder is characterized by early age (average age younger than 45 years) at onset of neoplastic lesions in a variety of tissues, including the colon, uterus, stomach, ureters, ovaries, and skin. The lifetime risk of endometrial cancer in women with Lynch II syndrome is 32% to 60% and the lifetime risk of ovarian cancer is 10% to 12%. Reference: Novak's gynecology; 14th edition; Chapter 35; Uterine cancer